Which of the following is a major criteria for diagnosis of Rheumatic fever (RF) according to modified Jones criteria ?
1. ASO titre
2. Past history of Rheumatic fever
3. Fever
4. Subcutaneous nodules

Correct answer: 4. Subcutaneous nodules

Explanation: Jones major criteria of RHD include card it is,chorea,arthritis, subcutaneous nodule, erythema marginatum. Ref : Ghai essential of pediatrics, eighth edition p.no:436, Davidson principal and practice of medicine, 21st edition, p.no:613